Presence of spiral grooves in the barrel of weapon is referred to as:
1. Rifling
2. Incendiary
3. Cocking
4. None of the above

Correct answer: 1. Rifling

Explanation: Ans. (A). RiflingShotgunRifled gunCHOKING:* The terminal few cms (7-10) is constricted in shot guns.* Reduces the pelletsdispersionQ* Increases the explosive forces of the pellets.* Increases the velocity of the pellets.RIFLING:* Interior of bore has spiral grooves which run parallel to each other, but twisted spirally from breech to muzzle end.* These grooves are called 'rifling'* Imparts Spinning motion to the bulletQ* Greater power of penetration.* Straight trajectory* Increases accuracy & rangeFully choked shotgun - Least dispersion of pelletsUnchoked shotgun - Maximum dispersionQ of pellets. Paradox gun: A smooth bore gun with small terminal part rifled.Bullets that impart great tissue destruction:Soft nosed bullet that flatten on impactDum Dum bulletBullets that fragment (frangible bullet)Bullets that mushroom on impact